Most common epithelial tumor of lacrimal gland:-
1. Adenoid cystic carcinoma
2. Pleomorphic adenoma
3. Squamous cell carcinoma
4. Non hodgkins lymphoma

Correct answer: 2. Pleomorphic adenoma

Explanation: Pleomorphic adenoma are most common epithelial tumors of lacrimal gland Lacrimal tumors High Yield Facts Pleomorphic adenoma are most common epithelial tumors of lacrimal gland Adenoid cystic adenocarcinoma are most common malignant tumors of lacrimal gland. They are usually painful Present with superotemporal mass and inferonasal dystopia Inflammatory lesion and lymphomas are most common tumors of lacrimal gland